All are true about Toxoplasma infection except:
1. May occur due to ingestion of oocyst from cat's faeces
2. May spread by organ transplantation
3. Toxoplasmosis is usually symptomatic in immunocompetent person
4. Infection is severe & progressive in immunocompromised host

Correct answer: 3. Toxoplasmosis is usually symptomatic in immunocompetent person

Explanation: Ans. C. Toxoplasmosis is usually symptomatic in immunocompetent personToxoplasmosisa. Infective stage for man: Oocyst with sporozoite & tissue cyst with bradyzoiteb. Freshly passed oocyst is not infective (needs development in the soil)c. Human infection is dead end for the parasited. The principal source of human Toxoplasma infection remains uncertain.e. Transmission usually takes place by the oral route and can be attributable to ingestion of either sporulated oocysts from contaminated soil or bradyzoite from undercooked meatf. In addition to oral transmission, direct transmission of the parasite by blood or organ products during transplantation takes place at a low rateg. In persons whose immune systems are intact, acute toxoplasmosis is usually asymptomatic and self-limited. This condition can go unrecognized in 80-90% of adults andh. children with acquired infectioni. In the immunocompromised or fetal host, the immune factors necessary to control the spread of tachyzoite infection are lacking. This altered immune state allows thej. persistence of tachyzoite and gives rise to progressive focal destruction that results in organ failure (i.e., necrotizing encephalitis, pneumonia, and myocarditis).k. Serologic testing has become the routine method of diagnosis.l. Diagnosis of acute infection with T. gondii can be established by detection of the simultaneous presence of IgG and IgM antibodies to Toxoplasma in serum. The presence ofm. circulating IgA favors the diagnosis of an acute infection.n. Human infection is a dead end for the parasite. Human infection is acquired in the following wayso. Eating uncooked or undercooked infected meat containing tissue cysts.p. Ingestion of mature oocysts through food, water or fingers contaminated with cat feces directly or indirectly.q. Intrauterine infection from infected mother to babies.r. Rarely by blood transfusion or transplantation from infected donors.Life cycle of Toxoplasma gondii.: The cat is the definitive host in which the sexual phase of the cycle is completed. Oocysts shed in cat feces can infect a wide range of animals, including birds, rodents, grazing domestic animals, and humans. The bradyzoite found in the muscle of food animals may infect humans who eat insufficiently cooked meat products, particularly lamb and pork. Although human disease can take many forms, congenital infection and encephalitis from reactivation of latent infection in the brains of immunosuppressed persons are the most important manifestations.